Rhinitis medicamentosa is due to which of the following?
1. Nasal decongestants
2. Steroids
3. Antihistaminics
4. Surgery

Correct answer: 1. Nasal decongestants

Explanation: Topical decongestant nasal drops are notorious to cause rebound phenomenon. Their excessive use cause rhinitis. It is treated by the withdrawal of nasal drops, a short course of systemic steroid therapy and in some cases, surgical reduction of turbinates if they have become hypertrophic. Ref: Textbook of diseases of ENT; PL Dhingra; 7th edition, pg no. 191